A child presented with the projectile, forcible, non-bilious vomiting. The most likely diagnosis is
1. Pyloric stenosis
2. Large bowel obstruction
3. Hirschsprungs disease
4. Ileal obstruction

Correct answer: 1. Pyloric stenosis

Explanation: Pyloric stenosis clinical presentation Infant is normal at birth, symptomatic between ages of 3-6 weeks Infants with HPS typically present with projectile nonbilious vomiting Visible gastric peristalsis may be seen as a wave of contraction from the left upper quadrant to the epigastrium The infants usually feed vigorously between episodes of vomiting Typical electrolyte abnormalities Hypochloremia Hypokalemia Metabolic acidosis with paradoxical aciduria Ref: Sabiston 20th edition Pgno : 1869